Which is not supplied by pelvic splanchnic nerves?
1. Rectum
2. Urinary bladder
3. Appendix
4. Uterus

Correct answer: 3. Appendix

Explanation: From there, they contribute to the innervation of the pelvic and genital organs. The nerves regulate the emptying of the urinary bladder, control opening and closing of the internal urethral sphincter, influence motility in the rectum as well as sexual functions like erection. They contain both pregangionic parasympathetic fibers as well as visceral afferent fibers. Visceral afferent fibers go to spinal cord following pathway of pelvic splanchnic nerve fibers. Ref - BDC vol2 6e pg423